Mechanism similar to Schwartzman reaction occurs in:
1. Fitz Hugh Curtis syndrome
2. Waterhouse Friderichsen syndrome
3. Eichwald slimser effect
4. Anaphylactoid reaction

Correct answer: 2. Waterhouse Friderichsen syndrome

Explanation: Ans. (b)Factors affecting intravascular coagulation is affected.Not actually immune mediated reaction.Smilar reactions happens in Waterhouse Friderichsen syndrome.